Double stranded RNA virus:
1. Polyomavirus
2. Parvovirus
3. Rotavirus
4. Poliovirus

Correct answer: 3. Rotavirus

Explanation: Ans. C i.e. Rotavirus Rotavirus It is the most common cause of severe diarrhoea among infants and young children. It is a genus of double-stranded RNA virus in the family Reoviridae. Nearly every child in the world has been infected with rotavirus at least once by the age of five. Immunity develops with each infection, so subsequent infections are less severe; adults are rarely affected. There are five species of this virus, referred to as A, B, C, D, and E. Rotavirus A, the most common species, causes more than 90% of infections in humans. The virus is transmitted by the faecal-oral route.